Causes of anterior polar cataract -
1. DM
2. Perforating corneal injury
3. Irradiation
4. Chalcosis

Correct answer: 2. Perforating corneal injury

Explanation: Anterior polar cataract. It involves the central part of the anterior capsule and the adjoining superficial-most cortex. It may arise in the following ways: Due to delayed development of anterior chamber: Due to corneal perforation:Such cataracts may also be acquired in infantile stage and follow contact of the lens capsule with the back of cornea, usually after perforation due to ophthalmia neonatorum or any other cause.